The following infection resembles malignancy -
1. Echinococcus granulosus
2. E. multilocularis
3. E.vogeli
4. E. oligarthus

Correct answer: 2. E. multilocularis

Explanation: Ans. is 4b' i.e., E. multilocularis o The chief character of E. multilocularis cyst is its tendency to proliferate, thereby resembling a neoplasm.Hydatid disease of liver is caused byo Echinococcus granulosuso Echinococcus multiloculariso Echinococcus vogeli- Unilocular cystic lesions- Multi locular alveolar hydatid cyst- Polycystic hydatid disease.